About first order kinetics true statement is
1. Clearance remains constant
2. Fixed amount of the drug is eliminated
3. Half life increase with dose
4. Decreased clearance with increasing dose

Correct answer: 1. Clearance remains constant

Explanation: I 1st order reaction half life remains constant and clearence remains constant In zero order reaction half life decrease with decrease in concentration Ref:Guyton and Hall textbook of medical physiology 12th edition,page number:489,490